Middle ethmoidal sinus is supplied by
1. Anterior ethmoidal nerve and vessels
2. Middle ethmoidal nerve and vessels
3. Posterior ethmoidal nerve and vessels
4. All of the above

Correct answer: 1. Anterior ethmoidal nerve and vessels

Explanation: Middle ethmoidal sinus:
→ Made up of 1 to 7 air cells.
→ Opens into middle meatus of nose.
→ Supplied by -

Anterior ethmoidal nerve and vessels.
Orbital branches of pterygopalatine ganglion.

→ Lymphatic drainage - Submandibular nodes.